Cornerstone of therapy for chronic hyponatremia is which of the following intervention?
1. Vasopressin antagonists
2. Hypertonic 3% saline
3. Water deprivation
4. Demeclocycline

Correct answer: 3. Water deprivation

Explanation: Water deprivation has long been a cornerstone of therapy for chronic hyponatremia. Reference: Harrisons Principles of Internal Medicine, 18th Edition, Page 347